Among the causes of rib notching are:
1. Coarctation of aorta
2. Congenital interruption of aorta
3. Chronic superior venacava obstruction
4. All of the above

Correct answer: 4. All of the above

Explanation: Ans. All of the above